Intrinsic muscle of the tongue is derived from
1. 2nd branchial cleft
2. Pharyngeal arch mesenchyme
3. Occipital somites
4. Cervical somites

Correct answer: 3. Occipital somites

Explanation: The muscles develop from the occipital myotomes which are supplied by the hypoglossal nerve Notes: The intrinsic muscles of tongue are- 1. Superior longitudinal 2.Inferior longitudinal 3.Transverse 4.Vertical Ref BDC volume 3,Sixth edition pg 270